The cavernous sinus does not communicate with the
1. Opthalmic vein
2. Internal jugular vein
3. External jugular vein
4. Pterygoid plexus

Correct answer: 3. External jugular vein